All of the following is true about peritonsillar abscess except
1. Bulge in soft palate
2. Does not involve floor of the mouth
3. Abscess is collected lateral to the superior constrictor
4. Trismus is commonly associated

Correct answer: 3. Abscess is collected lateral to the superior constrictor

Explanation: Pus is collected in the peritonsillar space which lies between the capsule of tonsil and superior constrictor muscle. So pus collection is medial to superior constrictor muscle. (Ref: Diseases of ENT, PL Dhingra, 7th edition, pg no. 298)